Na+ content of ReSoMal (rehydration solution for malnourished children)
1. 30 mmol/L
2. 45 mmol/L
3. 60 mmol/L
4. 90 mmol/L

Correct answer: 2. 45 mmol/L

Explanation: ReSoMal is used for the preparation of an oral rehydration solution (ORS) exclusively for people suffering from severe acute malnutrition. It must be used under medical supervision in therapeutic feeding centres, and must not be given directly to families. To treat Severe Acute Malnutriton and address mineral deficiencies. Seriously malnourished children commonly suffer from a deficiency of potassium and various other mineral deficiencies, as well as from an abnormally high level of sodium. In the event of dehydration, it is therefore necessary to give them a specific ORS containing less sodium, more potassium and more magnesium, zinc and copper Ref :